Nerve of anterior compartment of leg
1. Superficial peroneal
2. Deep peroneal
3. Saphenous
4. Sural

Correct answer: 2. Deep peroneal

Explanation: ANTERIOR COMPARTMENT( leg):- Muscles:-1. Tibialis anterior 2. Extensor hallucis longus3. Extensor digitorum longus 4. Peroneus tertius. Artery:anterior tibial artery.The blood supply of anterior compartment is reinforced by the perforating branch of peroneal artery. Nerve:-Deep peroneal nerve. Arrangement:-From medial to lateral-Tibialis anterior EHLAnterior tibial artery and deep peroneal nerve EDL Peroneus tertius DEEP PERONEAL:-Muscular branches to muscles of anterior compartment of leg:Tibialis anterior, extensor hallucis longus,extensor digitorum longus and peroneus tertius.Extensor digitorum brevis Cutaneous:dorsal digital nerves for adjacent sides of big toe and second toe.Articular branches:Ankle joint, tarsal joints,tarsometatarsal joints and metatarsophalangeal joint of big toe. {Reference: BDC 6E pg no.93 diagram 8.4}